The ubiquitous pump is:
1. Sodium potassium pump
2. Sodium pump
3. Potassium pump
4. All

Correct answer: 1. Sodium potassium pump

Explanation: Sodium potassium pump is the ubiquitous pump as it is present in sll the cells